All of the following are anti HIV agents except ?
1. Ritonavir
2. Acyclovir
3. Didanosine
4. Zidovudine

Correct answer: 2. Acyclovir

Explanation: Ans. is 'b' i.e., Acyclovir